True about lyme disease is -
1. Arthritis is an early manifestation
2. Conduction block is not seen
3. Mood disorder is chronic neurological manifestation
4. Causative organism is Borrelia rectirrentis

Correct answer: 3. Mood disorder is chronic neurological manifestation